False statement about lateral medullary syndrome?
1. 5,7,nerve lesions
2. I/L pain ,temperature loss of body
3. I/L pain temperature loss of face
4. 10 nerve palsy

Correct answer: 2. I/L pain ,temperature loss of body

Explanation: Lateral medullary syndrome also known as Wallenberg syndrome. Lateral medullary ischemia d/o ipsilateral vertebral artery (in most cases) or PICA(in few cases) I/L Horner's + I/L sensory alternation of pain and temp on face (V nerve nucleus involvement) I/L Cerebellar ataxia (involvement of inferior cerebellar peduncle) C/L Alternation of pain and temp on body (Spinothalamic tract involvement) I/L Loss of taste (involvement of Nucleus tractus solitarious) Difficulty in speech and swallowing (involvement of Nucleus ambiguus)